WHO cut-off for diagnosis of anemia in non-pregnant females is?
1. 7 g%
2. 10 g%
3. 11 g%
4. 12 g%

Correct answer: 4. 12 g%

Explanation: WHO cut-off for diagnosing anemia: - Adult male : < 13 g % - Non-pregnant female : <12 g% - Pregnant female : <11 g%